Which of the following tests helps to differentiate between concomitant squint and paralytic squint
1. Alternate cover test
2. Cover-uncover test
3. Direct cover test
4. None of the above

Correct answer: 1. Alternate cover test

Explanation: Cover tests 1) Direct cover test: It confirms the presence of manifest squint. To perform it, the patient is asked to fixate on a point light. Then, the normal looking eye is covered while observing the movement of the uncovered eye. In the presence of squint the uncovered eye will move in opposite direction to take fixation, while in apparent squint there will be no movement. 2) Alternate cover test: It reveals whether the squint is unilateral or alternate and also differentiates concomitant squint from paralytic squint (where secondary deviation is greater than primary). Ref:- A K KHURANA; pg num:-327